Inhibitor of F0F1 ATPase in electron transport chain is
1. Antimycin
2. Oligomycin
3. 2,4 nitrophenol
4. Barbiturate

Correct answer: 2. Oligomycin

Explanation: Oligomycin is a group of Streptomyces macrolides that bind to the Oligomycin sensitivity-conferring protein (OSCP) at the F(o) subunits 6 and 9 which are found in the stalk of the F1F0-ATPase complex. This binding blocks proton conductance across the synthase complex and inhibits the synthesis of mitochondrial ATP. As an additional result, the proton pumps of the electron transport chain are unable to operate because the gradient becomes too strong for them to overcome. NADH is then no longer oxidized and the citric acid cycle ceases to operate because the NAD+ concentrationfalls below the concentration that these enzymes can use.1,2